Which muscle is most resistant to neuromuscular blockage?
1. Diaphragm
2. Ocular
3. Adductor pollicis
4. Intercostal muscles

Correct answer: 1. Diaphragm

Explanation: ANSWER: (A) DiaphragmREF: Lee synopsis of anesthesia 13th e p. 182, Morgan 4th e p. 206-15Diaphragm is the most resistant muscle to muscle relaxants.